Anti fibrillarin antibodies are met with ?
1. Rheumatoid Arthritis
2. Systemic Lupus Erythematosis
3. Mixed Connective Tissue disease
4. Systemic scerosis

Correct answer: 4. Systemic scerosis

Explanation: Ans. is 'd' i.e., Systemic sclerosisAntifibrillin antibodies are found in ?Scleroderma (systemic sclerosis)Type I DM (IDDM)Marfan syndrome